Multidrug (MDT) regimen under the National Leprosy Eradication Program for treatment of all Multibacillary Leprosy would include:-
1. Clofazimine, Thiacetazone and Dapsone
2. Clofazimine, Rifampicin and Dapsone
3. Ethionamide, Rifampicin and Dapsone
4. Propionamide, Rifampicin and Dapsone

Correct answer: 2. Clofazimine, Rifampicin and Dapsone

Explanation: Paucibacillary Multibacillary Lesions <=5 >5 RX 6 months 12 months Follow-up 2 years 5 years Drugs Dapsone, Rifampicin Dapsone, Rifampicin, Clofazimine Now, India may soon adopt "Uniform MDT" regimen in which drugs used will be D + R + CF to all leprosy Patients.